A 5 year old healthy child is undergoing strabismus surgery with a Laryngeal mask airway in place. Thirty minutes into the procedure, his heart rate is 60 bpm, blood pressure is 90/60 mmHg, and oximeter shows 98% saturation. The next step in management is
1. Replace the LMA with endotracheal tube
2. Inform surgeon, administer atropine
3. Nothing, this is normal for this child
4. Increase FiO2 to 1.0

Correct answer: 2. Inform surgeon, administer atropine

Explanation: Traction on extra ocular muscles can result in Oculo cardiac reflex, that consists of trigeminal afferent and vagal efferent pathway.
Management of oculo-cardiac reflex

Immediate cessation of surgery
Adequate oxygenation
Give i.v Atropine
Infiltrate Rectus muscles with local anaesthetic